Incisura terminalis is between ?
1. Tragus and crux of helix
2. Ear lobule and antihelix
3. Antihelix and external auditory meatus
4. Tragus and ear lobule

Correct answer: 1. Tragus and crux of helix

Explanation: Ans. is 'a' i.e., Tragus and crux of helix Incisura ternzinalis is the area between the tragus and crus of helix